Intraepidermal blisters are seen in all of the following condition excepts
1. Pemphigus foliaceous
2. Pemphigus vulgaris
3. Paraneoplastic pemphigus
4. Pemphigoid

Correct answer: 4. Pemphigoid

Explanation: Level of cleavage & blistering disorders- IADVL textbook of dermatology, page 1088 Intraepidermal Subcorneal / granular/upper spinous 1. Pemphigus erythematosus 2. Pemphigus foliaceous 3. Subcorneal pustular dermatosis 4. IgA pemphigus subscorneal pustular dermatosus type 5. Bullous congenital icthyosiform erythroderma 6. Staphylococcal scalded skin syndrome 7. Bullous impetigo Spinous layer Hailey hailey disease Spongiosis Herpes simplex and herpes zoster Insect bites Friction blister Supra basal Pemphigus vulgaris and vegetans Paraneoplastic pemphigus Transient acantholytic disorder IgA pemphigus intraepidermal type Sub epidermal Basal keratinocyte vacuolation or lysis Epidermolysis bullosa simplex Erythema multiforme Steven Johnson syndrome/ toxic epidermal necrolysis Fixed drug eruption Bullous lichen planus Basement membrane zone damage Bullous pemphigoid Mucous membrane pemphigoid Pemphigoid gestationis Dermatitis herpitiformis Linear Ig A disease Epidermolysis bullosa junctional and acquisita Porphyria cutanea tarda Bullous lupus erythematosus Dystrophic epidermolysis bullosa